Thanatology is the science which deals with –
1. Death in its aspects
2. Identification of the living
3. Solving paternity of the child
4. Detection of life

Correct answer: 1. Death in its aspects

Explanation: Thanatollogy is the academic and often scientific, study of death among human beings.
It investigates the circumstances surrounding a persons' death, the grief experienced by the deceased’s loved ones, and larger social altitudes towards death such as ritual and memorialization.
Thanatophobia is known as fear of death.